Formed visual hallucinations are seen in lesion of:
1. Frontal
2. Occipital
3. Temporal
4. Arcuate fasciculus

Correct answer: 3. Temporal

Explanation: C i.e. Temporal lobe